A 15 year old boy feels that the dirt has hung onto him whenever he passes through the dirty street. This repetitive thought causes much distress and anxiety. He knows that there is actually no such thing after he has cleaned once but he is not satisfied and is compelled to think so. This has led to social withdrawal. He spends much of his time thinking about the dirt and contamination. This has affected his studies also. The most likely diagnosis is :
1. Agoraphobia
2. Conduct disorder
3. Adjustment disorder
4. Obsessive compulsive disorder

Correct answer: 4. Obsessive compulsive disorder

Explanation: The boy in the question is suffering from obsessive compulsive disorder. Obsessive-compulsive disorder is an anxiety disorder. Obsessions are persistent ideas, thoughts or impulses which are inappropriate. Patients subsequently does compulsive behavior, which they realize as foolish, but done to reduce anxiety and distress. OCD is often associated with major depressive disorder. It has a strong genetic/familial component and has equal incidence rates in males and females. Ref: CURRENT Diagnosis and Treatment: Pediatrics By William W. Hay, 20th Edition, Chapter 6; CURRENT Diagnosis and Treatment: Psychiatry By Michael H. Ebe, 2nd Edition, Chapter 19.